The best treatment for fracture neck femur is a 65-year-old lady is -
1. POP cast
2. Gleotomy
3. Bone grafting and compression
4. Hemireplacement arthroplasty

Correct answer: 4. Hemireplacement arthroplasty

Explanation: Here, closed reduction and internal fixation have not been provided as an option.
So, the best option is semi-replacement arthroplasty.